Most common cause of primary hyperparathyroidism is:
1. Solitary adenoma
2. Chief cell hyperplasia
3. Multiple adenoma
4. Werner's syndrome

Correct answer: 1. Solitary adenoma

Explanation: Answer is A (Solitary adenoma) The most common cause of primary hyperparathyroidism is a Solitary Parathyroid Adenoma Q Adenomas are most commonly located in the inferior parathyroid gland. Q